Nifedipine and beta-blocker are given together -
1. To decrease pedal edema due to nifedipine
2. To overcome increased sympathetic activity of nifedipine
3. Anti CHF action of propranolol
4. Antiarrhythmic effect of nifedipine

Correct answer: 2. To overcome increased sympathetic activity of nifedipine

Explanation: Ans. is 'b' i.e., To overcome increased sympathetic activity of Nifedipine b-Blocker is given along with Nifedipine because a) Reflex tachycardia (Increased sympathetic activity) caused due to Nifedipine, is prevented by b-blocker. b) b-blockers cause dilatation of coronary arteries by unopposed a-mediated vasoconstriction. Nifedipine causes coronary vasodilatation and opposes the spasm caused by b-blockers. The tendency of b-blocker to cause ventricular dilatation is counteracted by Nifedipine.